The association between disease & risk factor in a case control study is studied by-
1. Relative role
2. Attributable role
3. Population attributable role
4. Odds ratio

Correct answer: 4. Odds ratio

Explanation: .
from a case control study we can derive what is known as odds ratio,which is measure of the strength of association between risk factor and outcome.

ref:park's textbook of preventive and social medicine,22 nd edition ,pg no 70